Gluten sensitive enteropathy is most strongly associated with which of the following?
1. HLA DQ2
2. HLA DR4
3. HLA DQ3
4. Blood group 'B'

Correct answer: 1. HLA DQ2

Explanation: 95% of patients with gluten sensitive enteropathy express HLA DQ2 histocompatibility antigen on chromosome 6. In celiac sprue, the fundamental disorder is a sensitivity to gluten. When small intestinal mucosa is exposed to gluten, there is intraepithelial accumulation of cytotoxic T cells and helper T cell in the lamina propria. Cytokines released by the T cells in turn damage intestinal enterocytes.Ref: Robbins Pathologic Basis of Disease, 6th Edition, Page 813.